With optical density of 2, percentage of light transmitted is:
1. 100%
2. 10%
3. 1%
4. 0.10%

Correct answer: 3. 1%

Explanation: The degree of darkening or opacity of an exposed film is referred to as optical density. The optical density of an area of an X-ray film can be measured as follows: